Deformity of posterior dislocation of hip
1. Flexion, adduction, Internal rotation
2. Flexion, abduction, external rotation
3. Extension abduction, Internal rotation
4. Extension adduction, external rotation

Correct answer: 1. Flexion, adduction, Internal rotation

Explanation: A i.e. Flexion, adduction, intenal rotation